Thrombotic thrombocytopenic purpura involves all except?
1. Microangiopathy
2. Neural dysfunction
3. High complement level
4. Intravascular hemolysis

Correct answer: 3. High complement level

Explanation: Ans. is 'c' i.e., High complement level * Platelet associated IgG and complement levels are usually normal in TTP.Thrombotic thrombocytopenia purpura (TTP) / Moschcowitz disease* TTP is included among group of diseases called thrombotic microangiopathies. Small vessels like terminal arterioles and capillaries are involved.* Patients with TTP are deficient in an enzyme called ADAMTSB.13 also known as vWF metalloprotease leading to platelet macroaggregate formation throughout the microcirculation.Clinical features* TTP is characterized by a pentad of1. Microangiopathic hemolytic anemia2. Thrombocytopenia3. Neurological symptoms (platelet thrombin in cerebral vessels)4. Renal dysfunction5. Fever* There is intravascular hemolysis.* BT is raised with normal PT and aPTT.